Most common indication of In Vitro Fertilization is an abnormality in : Most common indication of In VitroFertilization is an abnormality in :
1. Uterus
2. Fallopian tube
3. Anovulation
4. Azoospermia

Correct answer: 2. Fallopian tube

Explanation: Fallopian tube